Which of the following is an infective form of Ascaris?
1. Coracidium
2. Filariform larvae
3. Rhabditiform larvae
4. Embryonated egg

Correct answer: 4. Embryonated egg

Explanation: Eggs are fertilized before release and embryonate to the second stage (larval stage) inside the egg, which is then ingested by a new host to start a new infection.